Which of the following is not a treatment modality for Keratoconus
1. Spectacle
2. Prism
3. Contact lens
4. INTACS

Correct answer: 2. Prism

Explanation: Prism -Prisms are used in Squint and not in keratoconus Rx Protocol for Keratoconus 1. SPECTACLE 2. CONTACT LENSES USED IN KERATOCONUS *Rigid Gas Permeable *Scleral lenses *Rose K lenses *Soper lenses 3. COLLAGEN CROSS LINKING C3R: INTACS Penetrating keratoplasty 4.INTACS Intracorneal ring segments *Reduce corneal steepening, made of PMMA. *Used in Pellucid Marginal Degeneration, post LASIK ectasia and keratoconus. 5.SURGERY *DALK (deep anterior Lamellar keratoplasty) *ALTK (Anterior lamellar therapeutic keratoplasty) *Penetrating Keratoplasty: When full thickness of cornea is involved as in hydrops with scar